Size of microfilled composite ranges from:
1. 0.1-1micron
2. 0.01-0.1 micron
3. 0.001-0.01 micron
4. 0.005-0.02 micron

Correct answer: 2. 0.01-0.1 micron

Explanation: Microfilled composites are agglomerates of 0.01- to 0.1-µm inorganic colloidal silica particles embedded in 5- to 50-µm resin filler particles.
Classification of Reinforcing Filler Particles by Size Range